Glucose transporter in (S-cells of pancrease-
1. GLUT1
2. GLUT2
3. GLUT3
4. SGLT1

Correct answer: 2. GLUT2

Explanation: Ans. is 'b' i.e., GLUT2 * Glucose enters the B cells of pancreatic islets via GLUT2 transporter and this stimulate the release of insulin.